Which of the following drugs is capable of maintaining blood levels for 24 hours after a single administration but has useful antianginal effects lasting only about 10 hours?
1. Amyl nitrite
2. Isosorbide mononitrate
3. Nitroglycerine (sublingual)
4. Nitroglycerine (transdermal)

Correct answer: 4. Nitroglycerine (transdermal)

Explanation: (Ref: KDT 6/e p525) Continous presence of nitrates in blood will result in tolerance.